Hyperacute graft rejection is caused by -
1. Preformed antibodies
2. T- lymphocytes
3. Macrophages
4. B - lymphocytes

Correct answer: 1. Preformed antibodies